Patient with NTD, dose of folic acid in next pregnancy
1. 0.5mg
2. 1mg
3. 2mg
4. 4mg

Correct answer: 4. 4mg

Explanation: Folic acid supplementation 4 mg daily 1 month before conception to about 12 weeks of pregnancy. Ref : Dutta book of obstetrics 8th Ed